Causes of Hypocalcemia in a child are-
1. DiGeorge syndrome
2. Hypoparathyroidism
3. Magnesium deficiency
4. All of above

Correct answer: 4. All of above

Explanation: Causes of hypocalcemia 

Hypoparathyroidism
DiGeorge syndrome
PTH receptor defect (pseudohypoparathyroidism)
Magnesium deficiency
Exogenous organic phosphate excess
Vit D difecideciency